Advantage of laparoscopic sterilization over mini-laparotomy sterilization is
1. Less failure rate
2. Less blood loss
3. Very small scar
4. Easy procedure

Correct answer: 3. Very small scar

Explanation: Mini-laparotomy Vs Laparoscopic sterilization FeaturesMinilaparotomyLaparoscopic sterilizationAdvantages Safe, effective and convenient methodDone as outpatient procedureDone with minimal trainingDone in peripheral setting (PHCs and Camps)Used for mass sterilization for population controlDoes not need special training.Does not need special equipmentCan be performed during puerperium, after abortionCan be done for interval sterilizationEffective method of contraception (as effective as minilap).Very low complication rate.Can be done as outpatient procedure.Can be done in peripheral setting (PHCs and Camps).Very small scar.Postoperative pain and discomfort minimal.Daycare procedure (Patient can be discharged on the same day).Shorter convalescence.Highly reversible (when done with clips).Disadvantages High chances of wound and pelvic infectionsLonger duration and severity of postoperative painLonger convalescenceLonger incisional scarComplication rate is low, but it occurs, can be life-threatening.Costly equipment.Requires specially trained experts.(Refer: Shaw's Textbook of Gynaecology, 15th edition, pg no: 240)